Choose the false statement regarding Hepatitis G virus -
1. Also called GB virus
2. Blood Born RNA virus
3. Mostly infected with C virus
4. Responds to Lamivudine

Correct answer: 4. Responds to Lamivudine

Explanation: HGV is bllod botne vitus&its ptrvelance is higher in patolients infected withHIV&HCV .it is also called GB V REF:MICROBIOLOGY ANANTHA NARAYANAN NINTH EDITION PAGE.550